Which of the following is the most sensitive indicator of intravascular volume depletion in an infant presented with acute rotavirus gastroenteritis?
1. Cardiac output
2. Heart rate
3. Stroke volume
4. Preload

Correct answer: 2. Heart rate

Explanation: Intravascular volume depletion in infants and young children commonly due to gastrointestinal diseases, pneumonia or meningitis. Important clinical features in estimating the degree of dehydration include, Capillary refill time Postural blood pressure Heart rate changes Dryness of the lips and mucous membranes Lack of tears Lack of external jugular venous filling when supine Sunken fontanelle in an infant Oliguria Altered mental status Among these, heart rate is the most sensitive measure of intravascular volume status. Capillary refill is the the most sensitive measure of adequate circulation. Blood pressure fluctuations are an insensitive indicator, because hypotension is a late finding in hypovolemia. Ref: Ford D.M. (2012). Chapter 23. Fluid, Electrolyte, & Acid-Base Disorders & Therapy. In W.W. Hay, Jr., M.J. Levin, R.R. Deterding, J.J. Ross, J.M. Sondheimer (Eds), CURRENT Diagnosis & Treatment: Pediatrics, 21e.